Which of the following is not a feature of brain death?
1. Complete apnea
2. Absent pupillary reflex
3. Absence deep tendon reflex
4. Heart rate unresponsive to atropine

Correct answer: 3. Absence deep tendon reflex

Explanation: Deep tendon reflexes are of spinal cord origin so they may remain intact, although they are usually absent in a case of brain death. The same applies to Babinski sign. Features of brain death are: Lack of response to internal and external environment Absence of spontaneous breathing movements for 3 minutes, in the absence of hypocarbia and while breathing room air No muscular movements with generalized flaccidity and no evidence of postural activity Falling arterial pressure without support by drugs or other means Isoelectric EEG recorded spontaneously and during auditory and tactile stimulation Reflexes and its response: Pupils fixed, dilated and nonreactive Absent corneal reflex Absent supraorbital or other pressure response Absence of snouting or sucking response Absent oculovestibular reflex Absent oculocephalic reflex Absent gag reflex and cough reflex These criteria should be present for at least 2 hours and should be certified by two physicians other than physician of a potential organ recipient. Ref: Harrison's Principles of Internal Medicine, 15th Edition, Page 139 ; Bailey and Love's Short Practice of Surgery, 23rd Edition, Page 135 ; The Transplantation and Replacement of Thoracic Organs By David K. C. Cooper, Page 2 ; Essentials of Forensic Medicine and Toxicology By Dr K S Narayan Reddy, 27th Edition, Pages 119-120